A vitreous aspirate from a case of metastatic endophthalmitis on culture yields Gram-positive round to oval cells, 12-14 m in size. The aspirate on Gram staining shows the presence of pseudohyphae. Which of the following is the most likely aetiological agent
1. Aspergillus
2. Rhizopus
3. Candida
4. Fusarium

Correct answer: 3. Candida

Explanation: Candida is a yeast-like fungus, grows partially as yeast and partially as chains of an elongated budding cell joined end to end forming pseudohyphae. on gram staining candida shows budding gram-positive yeast cells. Ref: Textbook of Microbiology, Ananthanarayan and Paniker; 9th edition